Pulsepressure is affected by?
1. Stroke volume
2. Compliance of aorta
3. Ejection fraction
4. All

Correct answer: 4. All

Explanation: ANSWER: (D) AllREF: Guytons physiology 11th edition page173Pulse Pressure is most easily defined as being the amount of pressure required to create the feeling of a pulse."Two major factors affect the pulse pressure; (1) the stroke volume output of the heart and (2) the compliance (total distensibility) of the arterial tree. A third, less important factor is the character of ejection from the heart during systole"